Distobuccal cusp of 27 falls into:
1. Embrasure of 37 & 38
2. Embrasure of 36 & 37
3. Mesial pit of 37
4. None of the above

Correct answer: 1. Embrasure of 37 & 38